"Smudge cells" in the peripheral smear are characteristic of:
1. Chronic myelogenous leukemia
2. Chronic lymphocytic leukemia
3. Acute myelogenous leukemia
4. Acute lymphoblastic leukemia

Correct answer: 2. Chronic lymphocytic leukemia

Explanation: In CLL, the blood contains large numbers of small round lymphocytes with scant cytoplasm (fragile). Some of these cells are usually disrupted in the process of making smears, producing so-called smudge cells